Histology of unicameral bone cyst -a) Blood filled cavitiesb) Endothelial liningc) Giant cellsd) Bone formation
1. cd
2. bc
3. bd
4. ac

Correct answer: 1. cd

Explanation: Simple bone cyst contains clear fluid and consists of flimsy fibrous lining, often containing giant cells.
There is osteoclastic resorption of adjacent bone, (i.e., endosteal osteoclastic resorption) with periosteal new bone formation.